Lewis Triple Response is mediated by:
1. Histamine
2. Axon reflex
3. Injury to endothelium
4. None of the above

Correct answer: 1. Histamine

Explanation: Histamine is primarily responsible for Lewis Triple Response. Ref: Goodman and Gilman's Manual of Pharmacology and Therapeutics, 11th Edition, Page 405; Skin Immune System By Jan D. Bos, Pages 401-2; Ganong's Review of Medical Physiology, 22nd Edition, Pages 593, 625, 627; Basic and Clinical Pharmacology By Katzung, 25th Edition, Page 258